A 45 year male with a history of alcohol dependence presents with confusion, nystagmus and ataxia. Examination reveals 6th cranial nerve weakness. He is most likely to be suffering from :
1. Korsakoff's psychosis
2. Wernicke encephalopathy
3. DeClerambault syndrome
4. Delirium tremens

Correct answer: 2. Wernicke encephalopathy

Explanation: Confusion, nystagmus, ataxia and 6th cranial nerve weakness in an alcohol dependent patient suggest the diagnosis of Wernicke's encephalopathy.